Skin pigmentation & icthyosis like side effects are seen in –
1. Rifampcin
2. Clofazimine
3. Dapsone
4. Steroid

Correct answer: 2. Clofazimine

Explanation: Drugs causing Ichthyosis are clofazimine, Triparanol, and statins.